In glycolysis which of the following is not involved?
1. Pyruvate dehydrogenase
2. Phosphofructokinase
3. Glucokinase
4. Pyruvate kinase

Correct answer: 1. Pyruvate dehydrogenase

Explanation: Ans. A Pyruvate dehydrogenase* The enzyme Pyruvate dehydrogenase irreversibly converts pyruvate, the end product of glycolysis, into acetyl CoA, a major fuel for the TCA cycle and the building block for fatty acid synthesis* Thus, this enzyme pyruvate dehydrogenase is utilized in citric acid cycle and fatty acid synthesis.* The reaction of pyruvate dehydrogenase, forming acetyl- CoA, is irreversible, and for every two carbon unit from acetyl-CoA that enters the citric acid cycle, there is a loss of two carbon atoms as carbon dioxide before oxaloacetate is reformed.* This means that acetyl-CoA (and hence any substrates that yield acetyl-CoA) can never be used for gluconeogenesis.